Investigation of choice for esophageal rupture is?
1. Dynamic MRI
2. Rigid esophagoscopy
3. Barium contrast swallow
4. Water soluble low molecular weight contrast swallow

Correct answer: 4. Water soluble low molecular weight contrast swallow

Explanation: ANSWER: (D) Water soluble low molecular weight contrast swallowREF: with textUse of non ionic water soluble contrast medium instead of barium is warranted when there is any risk of aspiration or esophageal leak. (Ref: Gastrointestinal Imaging: The Requisites By Giles W. Boland 4th ed page 2)Careful endoscopic assessment at the end of any procedure combined with a chest X-ray will identify many cases of perforation immediately. If not recognised immediately, then early and late suspected perforations should be assessed by a water-soluble contrast swallow. If this is negative, a dilute barium swallow should be considered. A CT scan can be used to replace a contrast swallow or as an adjunct to accurately delineate specific fluid collections. (Bailey 25th ed page 1015)Diagnosis of an esophageal perforation may be made radiographically. A chest roentgenogram may demonstrate a hydropneumothorax. A contrast esophagram is done using barium for a suspected thoracic perforation and Gastrografin for an abdominal perforation. Barium is inert in the chest but causes peritonitis in the abdomen, whereas aspirated Gastrografin can cause life-threatening pneumonitis. A surgical endoscopy needs to be performed if the esophagram is negative or if operative intervention is planned. (Ref: Sabiston 18th ed chapter 41)